Finger print bureau was first established in the following country:
1. India
2. England
3. USA
4. France

Correct answer: 1. India

Explanation: Dactylography or fingerprint system or dermatoglyphics or Galton system was first used in India in 1858, by Sir William Herschel in Bengal. Sir Francis Galton systematised this in 1892. Finger print bureau was first established in Kolkata.Fingerprints are impressions of patterns formed by the papillary or epidermal ridges of the fingertips. Ref: The essentials of forensic medicine and toxicology by Dr K S Narayan Reddy, 27th edition, Page 76.